All are B cell lymphomas except -
1. Burkitt's lymphoma
2. Mycosis fungoides
3. Mantle cell lymphoma
4. Follicular cell lymphoma

Correct answer: 2. Mycosis fungoides

Explanation: Mycosis fungoides is a slowly evolving cutaneous T cell lymphoma occuring in middle aged adult males. Burkitt lymphoma is a mature B cell malignancy Mantle cell lymphoma arise from the B cells of mantle zone of normal lymphoid follicle . Reference : Harsh Mohan textbook of pathology, 7th edition.Pg no.348,356,357,358,359 Follicular cell lymphoma is a mature B cell malignancy.